Conversion of angiotensin-I to angiotensin-II occurs in ?
1. Kidney
2. Lung
3. Liver
4. RBCs

Correct answer: 2. Lung

Explanation: Ans. is 'b' i.e., Lung Angiotensinogen (a2 - globulin) is produced in liver and is converted to angiotensin I (A-I) with the help of renin which is secreted by juxtaglomerular cells of afferent arterioles of kidney and lacis cells (located in the junction between the afferent and efferent arterioles). Angiotensin 1 is converted to Angiotensin II (A-II) by angiotensin converting enzyme (ACE). Which is located primarily on the luminal surface of vascular endothelial cells, especially in lungs. Most of actions of this system are due to angiotensin II. Angiotensin II has a very short tY2 (1 minute), it is degraded into angiotensin-III by aminopeptidase. Angiotensin-III is further acted upon by angiotensinases to inactive fragments.